In blood culture the ratio of blood to reagent is ?
1. 1:05
2. 1:20
3. 1:10
4. 0.111111111

Correct answer: 3. 1:10

Explanation: Ans. is 'c' i.e., 1:10